A patient of scleroderma who has hypertension is at significant risk of developing
1. MI
2. Sudden renal failure
3. Thrombotic stroke
4. Pulmonary hypertension

Correct answer: 2. Sudden renal failure